Renal transplantation, in which mother acts as a donor of one kidney to her son is an example of
1. Autograft
2. Heterograft
3. Allograft
4. Xenograft

Correct answer: 3. Allograft

Explanation: Ans. is 'c' i.e., Allograft Transplantation terminologyAutograft:Tissue transplanted from one part of the body to another in the same individual.Also called an autotransplant.Isograft:Is a graft of tissue between two individuals who are genetically identical (i.e. monozygotic twins). Transplant rejection between two such individuals virtually never occurs.Allograft:An organ or tissue transplanted from one individual to another.